Compartment syndrome is confirmed at pressure above
1. 30 mm Hg
2. 40 mm Hg
3. 50 mm Hg
4. 35 mm Hg

Correct answer: 1. 30 mm Hg

Explanation: Ans. (a) 30 mm HgRef Bailey and Love 27th edition Page 408Compartment Syndrome:* MC cause - Fracture (70%)* Other causes:# Soft tissue contusion# Bleeding disorders# Circumferential Burns# Post ischemic swelling# Tight Casts/Dressings# IV fluids extravasation* C/F- Pain on passive stretch (Early Sign), Late sign (pulselessness)* Absolute pressure >30mmHg or Pressure Gradient (Diastolic pressure - Compartment Syndrome) is less than Equal to 30mmHg is Compartment syndrome.